Which of the following scientist propagated 'therapeutic community concept:
1. JB Watson
2. Maxwell Jones
3. Freud
4. Adler

Correct answer: 2. Maxwell Jones

Explanation: Therapeutic community is a group based approach for treatment of substance use disorders and other psychiatric disorders. It is a residential approach where in patients live in a house for long-term and has defined roles during the stay. The term "therapeutic community" was given by Thomas MainQ and the concept was developed by Maxwell jones.